All of the following are components of Dane Particle except -
1. Surface antigen
2. Core antigen
3. C-antigen
4. Delta antigen

Correct answer: 4. Delta antigen